In myasthenia gravis the neuromuscular junctions contain deposits of
1. Acetyicholine
2. Acetyicholine Receptor Antigens
3. Acetyicholinesterase
4. Immunoglobulin

Correct answer: 4. Immunoglobulin

Explanation: Antibodies to the acetylcholine receptor can be demonstrated in the serum of most patients with myasthenia gravis. This immunoglobulinsare deposited at the neuromuscular junction and can be demonstrated immunohistochemically in muscle biopsies. Ref - Harrison's internal medicine 20e pg 3232